The most predictive and dangerous side effect of propranolol that makes it to be avoided in known patient of COPD is induction of -
1. Respiratory failure
2. Acute asthmatic attack
3. Glaucoma
4. Pleural effusion

Correct answer: 2. Acute asthmatic attack